Owl eye intranuclear inclusion body is seen in ?
1. Herpes zoster
2. Herpes simplex
3. CMV
4. EBV

Correct answer: 3. CMV

Explanation: BRS microbiology 4/e, table 4-9, Cytopathology of infectious disease by Lion pantanowitz, pam michelow, walid E. khalbuss